Which about non development is not true
1. Pincer grasp at 3 months
2. Sitting at 6 months
3. Social smile at 3 months
4. 2 year old can use pleurals

Correct answer: 1. Pincer grasp at 3 months

Explanation: Ans. is 'a' Pincer grasp at 3 months Pincer grasp develops by 8 months* of age.